"Flowing wax" appearance on anterior and posterior borders of vertebrae with normal intervertebral disc space occuring due to ligament calcification is seen in -
1. Ankylosing spondylitis
2. Diffuse idiopathic skeletal hypertrophy
3. Psoriatic spondyloarthropathy
4. RA

Correct answer: 2. Diffuse idiopathic skeletal hypertrophy

Explanation: Radiological features of DISH (Diffuse Idiopathic skeletal hyperostosis) : Flowing calcification and ossification along the anterolateral aspect of vertebral bodies. - Flowing wax appearance Preserved disc space. Absence of bony ankyosis of facet joints,absence of sacroiliac bony erosion,sclerosis or bony fusion.